Fixed-splitting of S2 is seen in
1. ASD
2. MS
3. PDA
4. PR

Correct answer: 1. ASD

Explanation: A fixed split S2 indicates an atrial septal defect (ASD). Spitting at both expiratory and inspiratory phases but does NOT lengthen with inspiration Compared to Wide splitting where there is splitting during expiration and even wider during inspiration, which is seen in conditions with delayed conduction down the right bundle ref - Harrisons internal medicine 20e pg 1671, 1672f